Epithelial lining of urinary bladder is
1. Squamous
2. Transitional
3. Cuboidal
4. Columnar

Correct answer: 2. Transitional

Explanation: Urinary bladder is lined with transitional epithelial tissue that is able to stretch significantly to accommodate large volumes of urine. The transitional epithelium also provides protection to the underlying tissues from acidic or alkaline urine. ref - BDC 6e vol2 pg380